Casal's paint necklace is caused by:
1. Lichen planus
2. Pellagra
3. Pernicious anemia
4. SLE

Correct answer: 2. Pellagra

Explanation: B i.e. Pellagra